An elderly male with heart disease presents with sudden loss of vision in one eye; examination reveals cherry red spot; diagnosis is –
1. Central retinal vein occlusion
2. Central retinal artery occlusion
3. Amaurosis fugax
4. Acute ischemic optic neuritis

Correct answer: 2. Central retinal artery occlusion

Explanation: Amongst the given options only CRAO causes sudden painless loss of vision along with cherry red spot.